Gelle's test is done/ negative in:
1. Senile deafness
2. Traumatic deafness
3. Otosclerosis
4. Serous otitis media

Correct answer: 3. Otosclerosis

Explanation: Gelle's test is positive: In normal individuals, SNHL. Gelle's test is negative: In case of fixed ossicular chain (otosclerosis) or if ossicular chain is disconnected.